Ptosis results from trauma to which nerve -
1. VII
2. VIII
3. III
4. VI

Correct answer: 3. III

Explanation: Oculomotor nerve injury causes paralysis of levator palpebrae superioris. In ptosis lid covers more than 2mm of cornea. Ref :Ak khurana 6th edition